Lyme disease caused by:
1. Borrelia burgdorferi
2. Borrelia recurrantis
3. Borrelia vincentis
4. Leptospira

Correct answer: 1. Borrelia burgdorferi

Explanation: (A) Borrelia burgdorferi > Lyme disease, or borreliosis, is an emerging infectious disease caused by spirochete bacteria from the genus Borrelia. It is caused by Borrelia burgdorferi transmitted by the bite of Ixodid ticks.> The natural reservoir hosts are rodents, deer and other mammals. Ixodes dammini and related species are the vectors. The borrelia grows mainly in the midgut of the tick. Infection occurs by regurgitation of the gut contents during biting.> The acute phase of Lyme disease infection is a characteristic reddish "bulls-eye" rash, with accompanying fever, malaise, and musculoskeletal pain (arthralgia or myalgia).> The characteristic reddish "bull's-eye" rash (known as erythema chronicum migrans) may be seen in up to 80% of early stage Lyme disease patients, appearing anywhere from one day to a month after a tick bite.> The rash does not represent an allergic reaction to the bite, but rather a skin infection with the Lyme bacteria, Borrelia burgdorferi sensu lato.